One of the following is not true of International Classification of Disease -
1. It is revised once in 10 years
2. It was devised by UNICEF
3. The 10th revision consists of 21 major chapters
4. It is accepted for National and International use

Correct answer: 2. It was devised by UNICEF

Explanation: Ans. is 'b' i.e., It was devised by UNICEF ICD was devised by WHO.